Mycobacterium leprae can be grown on ?
1. L J medium
2. Robertson's cooked meat medium
3. Foot pad of mice
4. Sabouraud's agar

Correct answer: 3. Foot pad of mice